Cessation experiment is a type of:
1. Cohort study
2. Case control study
3. RCT
4. Cross sectional study

Correct answer: 3. RCT

Explanation: Types of RCTs: Clinical trials Preventive trials Risk factors trials Cessation experiments Trial of etiological agents Evaluation of health services.